The cyclodevelopmental life cycle is seen in -
1. Malaria
2. Plague
3. Yellow fever
4. Filaria

Correct answer: 4. Filaria